Type 1 cryoglobulinemia is associated with all the following EXCEPT-
1. Hyperviscosity
2. Monoclonal 1gM paraprotein
3. Normal complement
4. Strongly positive rheumatoid factor

Correct answer: 4. Strongly positive rheumatoid factor

Explanation: Cryoglobulins are antibodies directed against other immunoglobulins, and which form immune complexes that precipitate in the cold. type1 type 2 type 3 Immunoglobulin isotype and specificity Isolated monoclonal IgM paraprotein with no particular specificity Immune complexes formed by monoclonal IgM paraprotein directed towards constant region of IgG Immune complexes formed by polyclonal IgM or IgG directed towards constant region of IgG Prevalence 25% 25% 50% Disease association Lymphoproliferative disease, especially Waldenstrom macroglobulinaemia Infection, particularly hepatitis B and hepatitis C; lymphoproliferative disease Infection, particularly hepatitis B and C; autoimmune disease, including rheumatoid arthritis and SLE Symptoms Hyperviscosity: Raynaud's phenomenon Acrocyanosis Retinal vessel occlusion Arterial and venous thrombosis Small-vessel vasculitis: Purpuric rash Arthralgia Cutaneous ulceration Hepatosplenomegaly Glomerulonephritis Raynaud's phenomenon Small-vessel vasculitis: Purpuric rash Arthralgia Cutaneous ulceration Hepatosplenomegaly Glomerulonephritis Raynaud's phenomenon Protein electrophoresis Monoclonal IgM paraprotein Monoclonal IgM paraprotein No monoclonal paraprotein Rheumatoid factor -ve strongly +ve +ve Complement Normal decreased c4 decreased c4 REF:DAVIDSON'S PRINCIPLES AND PRACTICE OF MEDICINE 22nd EDITION PAGE NO 88